Dohlmans procedure is used for -
1. Zenkers diverticulum
2. Carcinoma esophagus
3. Carcinoma larynx
4. Nasal carcinoma

Correct answer: 1. Zenkers diverticulum

Explanation: Ans. is 'a' i.e., Zenkers diverticulum Treatment of zenker's diverticulum* Treatment is excision of pouch and cricopharyngealmyotomy. This is done through cervical approach.* Dohlman'sprocedure: - The partition wall bewteen the oesophagus and the pouch is divided by diathermy through an endoscope. This is done in poor risk debilitated patients.* Endoscopic laser treatmentIt is similar to Dohlman's procedure. Partition between the pouch and oesophagus is divided by CO2 laser using operating microscope.